Which intubation is preferred in case of bilateral mandibular fractures ?
1. Orotracheal intubation
2. Naso tracheal intubation
3. Cricothyrotomy
4. Submental intubation

Correct answer: 2. Naso tracheal intubation

Explanation: Answer- B. Naso tracheal intubationTime of surgery should be carefully planned allowing reduction of tissue edema and avoiding development of malunion. Nasal intubation is the choice of intubation by surgeon, providing them with free access to operating field. Blind awake nasal intubation is safe and simple with some experience in difficult airway.